In lateral medullary syndrome (Wallenberg) the lesion is in
1. Trigeminal motor nucleus
2. Spinal tract of trigeminal
3. Medial lemniscus
4. Pyramidal tract

Correct answer: 2. Spinal tract of trigeminal

Explanation: (B) Spinal tract of trigeminal # LATERAL MEDULLARY SYNDROME (also called Wallenberg's syndrome and posterior inferior cerebellar artery syndrome) is a disease in which the patient has difficulty with swallowing or speaking or both owing to one or more patches of dead tissue (known as an infarct) caused by interrupted blood supply to parts of the brain.> Cause: It is the clinical manifestation resulting from occlusion of the posterior inferior cerebellar artery (PICA) or one of its branches or of the vertebral artery, in which the lateral part of the medulla oblongata infarcts, resulting in a typical pattern. PATIENT'S SIGNS & SYMPTOMS COMPARING WITH KNOWN NEUROVASCULAR SYNDROMES Patient's signs/symptomsAffected structureMedial medullary syndromeHemiplegia sparing the facePyramidal tractLoss of tactile and proprioceptive sensitivityMedial lemniscusAtaxia with a tendency to fall towards the lesion (ipsilateral)Uncertain: can involve restiform body, cerebellar hemispheres, olivocerebellar fibers & spinocerebellar tractsLateral medullary syndromeVertigo, nausea and vomitingVestibular nucleus and its connectionsDysphagia, hoarseness, loss of vomiting reflex, bradycardiaCranial nerves IX and XIpsilateral loss of pain and temperature sensitivity, sometimes involving the faceSpinothalamic tractBasilar artery syndromeA combination of various brainstem syndromes combined with those related to occlusion of posterior cerebral artery branches. Intact sensitivity in the presence of near-complete paralysis (as in the TIA) presented by the patient.Same as above + thalamic nuclei.